Which of the following secretions has a very high pH:
1. Gastric juice
2. Pancreatic juice
3. Bile in gall bladder
4. Saliva

Correct answer: 2. Pancreatic juice